The periodontal ligament is approximately
1. 0.25 mm in thickness
2. 0.5 mm in thickness
3. 0.75 mm in thickness
4. 1.0 mm in thickness

Correct answer: 1. 0.25 mm in thickness